A person is said to be mentally retarded when IQ is
1. < 100
2. <90
3. <80
4. <70

Correct answer: 4. <70

Explanation: Normal IQ → 90-109;
Borderline IQ → 70-89;
Mild mental retardation IQ → 50-69;
Moderate mental retardation IQ → 35-49;
Severe MR IQ → 20-34;
Profound MR IQ → 0-19.